Botulinum toxin acts by
1. Secretion of Ach
2. Synthesis of ACh
3. Inhibits Ach release
4. Muscle nerve block

Correct answer: 3. Inhibits Ach release

Explanation: Ref: HL Sharma 3rd ed pg no:133 botulinum toxin and beta-bungaro toxin inhibits the release of Ach into the synapse